Following are examples of mitochondrial inheritance except:
1. Leigh disease
2. Mitochondrial encephalopathy
3. MELAS
4. Colour blindness

Correct answer: 4. Colour blindness

Explanation: Ans. D. Colour blindnessMutations within mitochondrial gene can lead to phenotypic defects and show pattern of maternal genetic transmission. Since mitochondria are only present in ovum and not sperms, the inheritance is maternal. All the offspring of an affected female will be affected. All the affected daughters will transmit the disease. Sons will be affected but will not transmit the disease. Examples include Leigh disease, mitochondrial encephalopathy, lactic acidosis and stroke (MELAS) like syndrome.